Least found type of Hodgkin's lymphoma is?
1. Nodular sclerosis
2. Lymphocyte depleted
3. Lymphocyte rich
4. Nodular lymphocyte predominant

Correct answer: 2. Lymphocyte depleted

Explanation: Nodular sclerosis 60-80%
Mixed cellularity 15-30%
Lymphocyte depleted <1%
Lymphocyte rich 5%
Nodular lymphocyte predominant 5%